Antemortem abrasions can be confused with -
1. Eczema
2. Ant bite marks
3. Chemical burn
4. Joule bum

Correct answer: 2. Ant bite marks

Explanation: Postmortem ant bites (erosions produced by ants) may produce localized marks which simulate antemortem abrasions.